True for PTSD are all except -
1. Past h/o psychiatric illness
2. Women are more predisposed
3. Occur in intellectuals
4. Numbness

Correct answer: 3. Occur in intellectuals

Explanation: Risk factors for PTS ID:- Low education, lower social class, female gender, low self-esteem/ neurotic traits, previous (or family) history of the psychiatric problem (depression /anxiety), previous traumatic events (childhood trauma).
Protective factor:- High IQ (Intellectuals), higher social class, male gender, psychopathic traits.